Epimembranous deposition is seen in
1. Membranous glomerulonephritis
2. FSGS
3. Minimal change disease
4. Membrano proliferative Glomerulonephritis

Correct answer: 1. Membranous glomerulonephritis

Explanation: Epimembranous deposits (Immune complex deposits between basement membrane and overlying podocytes) and spike and dome appearance is seen in membranous glomerulonephritis.